What type of anemia is seen in B12 deficiency:
1. Normocytic
2. Macrocytic
3. Microcytic
4. Dimorphic

Correct answer: 2. Macrocytic

Explanation: Macrocytic anemia - In it RBC's are larger in size than their normal size Causes:- -Vitamin B12 deficiency -Folic acid deficiency -Alcoholism WITH REGARD TO OTHER OPTIONS: Normocytic anemia (option a):Causes of normocytic anemia include acute blood loss, apoplastic anemia (bone marrow failure), haemolytic anemia (abnormal breakdown of RBC's). Microcytic anemia(option c):Majority of microcytic anemia are result of insufficiency in haemoglobin synthesis or failure in haemoglobin synthesis or both. For e.g. iron deficiency. Dimorphic anemia (option d): In Dimorphic Anemia, two distinct forms of red cell populations exist. It can occur when iron deficiency anemia responds to iron therapy, after the transfusion of normal blood to a patient with Hypochromic Anemia and in Sideroblastic Anemia.